Single most sensitive tool for evaluating the iron status is
1. Haemoglobin concentration
2. Serum ion concentration
3. Serum ferritin
4. Serum transferrin saturation

Correct answer: 3. Serum ferritin

Explanation: Serum ferritin is the single most sensitive tool for evaluating the iron status.It reflects the size of Iron stores in the body. Values below 10 mcg/L indicate an absence of stored iron.Park 23e pg: 623